Anterior uveitis is most commonly associated with:
1. HLA DR4
2. HLA D27
3. HLA B4
4. HLA B 27

Correct answer: 4. HLA B 27

Explanation: Ans. D: HLA B 27 A. Causes of Anterior Uveitis In more than a third of all cases of anterior uveitis, the exact cause is unknown. Causes may include: Ankylosing spondylitis is a type of arthritis that mainly affects the spine. This can cause recurrent arthritis. It is mostly associated with HLA B27 Reiter's syndrome is an inflammatory arthritis common in young men - often caused by chlamydia infection. It is mostly associated with HLA B27 Psoriatic arthropathy is a form of arthritis that nearly a quarter of people with psoriasis may develop. It causes pain, swelling and stiffness in joints. Psoriasis is an immune-related disease of the skin and joints. Inflammatory bowel disease causes inflammation, ulcers and scarring to the wall of the intestine but can affect other parts of the body as well. Juvenile rheumatoid arthritis (JRA) is a kind of arthritis (inflammation of the joints) in children. Uveitis is the most common eye problem that can develop in children with JRA. Children with JRA may get uveitis before JRA is even diagnosed, or it can occur many years later. Herpes is a common viral infection that causes oral or genital herpes. It mostly affects only one eye, but it can cause recurrent uveitis. Sarcoidosis is a kind of inflammation that can affect many parts of the body. Its cause is unknown. Fuch's heterochromic iridocyclitis is a chronic kind of iritis. Its cause is unknown. It may cause rapid increase in eye pressure, requiring immediate treatment. Lupus is a chronic inflammatory disease that affects different parts of the body, including the skin, joints, blood, and kidneys and is related to the body's immune system. Intraocular lens surgically implanted to replace a cataract lens. Uveitis can be caused by trauma related to cataract surgery. The presence of artificial lens can cause anterior uveitis. Posner-Schlossman syndrome (PSS) is an uncommon inflammatory eye condition that usually affects one eye at a time. It typically affects young to middle-aged adults who develop high pressure inside the eye and mild inflammation. Rheumatoid arthritis is a chronic inflammation of the joints that can cause permanent joint damage and disability. Syphilis is a sexually transmitted disease. It can be cured, but if left untreated, the late stages of the disease can cause heart problems, abnormalities, mental illness, blindness and death. Although on the decline over the past decade, it has seen more cases in recent years. Tuberculosis (TB) is a disease caused by bacteria that usually attacks the lungs. Lyme disease is a disease caused by bacteria that are transmitted to people from the bite of a deer tick. It often causes a "bull's-eye" rash around the bite, with symptoms such as fever, tiredness, headache, muscle and joint aches. B. Causes of Intermediate Uveitis In more than two thirds of all cases of intermediate uveitis, the exact cause is unknown. The remaining third of all cases are thought to be caused by conditions such as: Sarcoidosis can affect many parts of the body. Its cause is unknown. MS (multiple sclerosis) an inflammatory disease that affects the brain and spinal cord Lyme disease, a disease caused by bacteria that are transmitted to people from the bite of a deer tick. It often causes a "bull's-eye" rash around the bite, with symptoms such as fever, tiredness, headache, muscle and joint aches C. Causes of Posterior Uveitis Following is a list of common causes of posterior uveitis. In more than one in ten cases of uveitis, however, the exact cause is unknown. Toxoplasmosis is an infection caused by a parasite. People may become infected from eating raw or undercooked meats, drinking unpasteurized milk, cleaning cat litter boxes, or working in gardens or playing in sandboxes that contain cat feces. Cytomegalovirus retinitis (CMV retinitis) is a serious eye infection of the retina. It is a threat to people with weak immune systems, such as people with HIV, people undergoing chemotherapy, and people who have had organ transplants. Without treatment, CMV retinitis can destroy the retina and damage the optic nerve, resulting in blindness. Lupus is a chronic inflammatory disease that affects different parts of the body, including the skin, joints, blood, and kidneys and is related to the body's immune system. Birdshot retinochoroidopathy may be an autoimmune disease. People with this condition may experience blurry vision, sensitivity to light, floaters, and night blindness. In most people, it affects both eyes. It causes white or yellow lesions scattered around the retina that can damage the retina and affect the vitreous. Sarcoidosis is a kind of inflammation that can affect many parts of the body. Its cause is unknown. Acute retinal necrosis is a condition that often causes retinal detachment and vision loss. Signs may include red eyes, eye pain and hazy/blurry vision. Epstein-Barr virus (EBV) is a virus that infects nearly every adult. When infection with EBV occurs during adolescence or young adulthood, it often causes mononucleosis. Behcet's disease is a rare, chronic inflammatory disease. The cause of Behcet's disease is unknown. If often begins when individuals are in their 20s or 30s, although it can happen at any age. Uveitis is very common with people suffering from Behcet's, which can cause acute uveitis that happens soon after onset of Behcet's disease. Syphilis is a sexually transmitted disease. It can be cured, but if left untreated, the late stages of the disease can cause heart problems, abnormalities, mental illness, blindness and death. Although on the decline over the past decade, it has seen more cases in recent years. Serpiginous choroidopathy is related to uveitis - a rare condition that affects the part of the uvea called the choroid. It can affect the vitreous body and cause lesions on the retina that result in vision loss. D. Causes of Panuveitis As with other kinds of uveitis, the cause of panuveitis is often unknown. Other possible causes include: Sarcoidosis is a kind of inflammation that can affect many parts of the body. Its cause is unknown. Behcet's disease is a rare, chronic inflammatory disease. The cause of Behcet's disease is unknown. If often begins when individuals are in their 20s or 30s, although it can happen at any age. Uveitis is very common with people suffering from Behcet's, which can cause acute uveitis that happens soon after onset of Behcet's disease. Lupus is a chronic inflammatory disease that affects different parts of the body, including the skin, joints, blood, and kidneys and is related to the body's immune system. Syphilis is a sexually transmitted disease. It can be cured, but if left untreated, the late stages of the disease can cause heart problems, abnormalities, mental illness, blindness and death. Although on the decline over the past decade, it has seen more cases in recent years. Vogt-Koyanagi-Harada syndrome is an inflammatory condition that involves the eyes and meninges (coverings of the brain). The condition is most common in Asians and American Indians. It often causes uveitis in both eyes and retinal detachments, and can result in serious vision loss and blindness. Tuberculosis (TB) Fungal Retinitis fungal infections can be a problem for people with weakened immune systems, including very premature babies and people with HIV or AIDS